Treatment of choice for Obsessive compulsive disorder is
1. Imipramine
2. Fluoxetine
3. Chlorpromazine
4. Benzodiazepine

Correct answer: 2. Fluoxetine

Explanation: (B) Fluoxetine # FLUOXETINE (20-80 mg/day) is a good alternative to clomipramine & often preferred these days for its better side-effect profile in the treatment of Obsessive compulsive disorder.> Clomipramine, fluoxetine, and fluvoxamine are approved for the treatment of OCD.> Clomipramine is a TCA that is often tolerated poorly owing to anticholinergic and sedative side effects at the doses required to treat the illness (150 to 250 mg/d).> Its efficacy in OCD is unrelated to its antidepressant activity.> Fluoxetine (40 to 60 mg/d) and fluvoxamine (100 to 300 mg/d) are as effective as clomipramine and have a more benign side-effect profile.